Most common cause of facial palsy is:
1. Viral
2. Bacterial
3. Idiopathic
4. Trauma

Correct answer: 3. Idiopathic

Explanation: Causes of Facial Nerve Palsy:- Most common cause is idiopathic bell's palsy paralysis acute onset Bell's palsy idiopathic, Ipsilateral lower motor neuron palsy Loss of forehead and brow movements Inability to close eyes drooping of eyelids Loss of nasolabial folds, drooping of lower lip Herpes zoster oticus/Ramsey hunt syndrome LMN facial nerve palsy Vesicular rash in the external auditory canal and pinna Ear pain Mastoid surgery is the most common Iatrogenic cause of facial nerve palsy